Hard exudates are seen in the following except:
1. Hypertensive retinopathy
2. Diabetic retinopathy
3. Leukemic retinopathy
4. Exudative retinopathy of Coat's

Correct answer: 3. Leukemic retinopathy

Explanation: Ans. Leukemic retinopathy